Trial of normal labour is contraindicated in:
1. History of previous classical cesarean section
2. History of previous cesarean section due to CPD
3. No history of prior vaginal delivery
4. History of previous cesarean section due to malpresentation

Correct answer: 1. History of previous classical cesarean section

Explanation: Ans. a. History of previous classical cesarean section